Tissue suturing glue contains:-
1. Cyanoacrylate
2. Ethanolamine oleate
3. Methacrylate
4. Polychloroprene

Correct answer: 1. Cyanoacrylate

Explanation: Tissue glue Tissue glue is also available based upon a solution of n-butyl-2-cyanoacrylate monomer. When it is applied to a wound, it polymerizes to form a firm adhesive bond Wound does need to be clean, dry, with near perfect hemostasis and under no tension Specific uses: - closing a laceration on the forehead of a fraction child in accident and emergency thus dispensing with local anesthetic and sutures. Relatively expensive, it is quick to use, does not delay wound healing and is associated with an allegedly low infection rate